Reading and retarding skills of a moderate mentally retarded child?
1. Reasonable
2. Basic
3. Minimal
4. None

Correct answer: 2. Basic

Explanation: LEARNING DISABILITY: Mild disability Moderate disability Severe profound disability IQ level 69-50 49-35 <35 % of cases 85% 10% 5% Self-care Independent Need some help Limited Language Reasonable Limited Basic/None Reading & Writing Reasonable Basic Minimal/None Ability to work Semi-skilled Unskilled, supervised Basic tasks, supervised Social skills Normal Moderate Few Physical Problems Rare Sometimes Common Aetiology discovery Sometimes Often Usual Ref: Psychiatry by Harrison 10th edition table 17.2